Location of beta 3 receptors include
1. Bronchial muscle
2. Vascular muscle
3. Bladder
4. Uterus

Correct answer: 3. Bladder